Type of inheritance in MEL ASAI
1. Mitochondrial
2. AD
3. AR
4. X-linked

Correct answer: 1. Mitochondrial

Explanation: MELAS (mitochondrial encephalopathy with lactic acidosis an stroke) is a mitochondrial disease